Best material for below inguinal arterial graft is:
1. Saphenous vein graft (Upside-down)
2. PTFE
3. Dacron
4. Teflon

Correct answer: 1. Saphenous vein graft (Upside-down)

Explanation: Saphenous vein is the most suitable conduit for bypass, below the inguinal ligament. It may be used either as a reversed conduit or as an 'insitu' vein bypass after valve destruction. Infra-Inguinal occlusive Disease (Femoral, Popliteal, Tibial Occlusive Disease) Autologous vein is the conduit of choice for infra-inguinal bypass surgery. Great saphenous vein is the vein of choice (Lesser saphenous vein or arm veins may be used) These grafts may be used either 'Insitu' after valve destruction or reversed conduit. When Autologous vein grafts are not available PTFE grafts may be used For above knee grafts, patency rates of PTFE grafts approach those acheived by autologous venous grafts. For below knee/distal grafts, patency rates of PTFE grafts are substantially lower. REf: Bailey 27th edition Pgno: 890